The following statements regarding Turner syndrome are true except.
1. Occurrence of Turner syndrome is influenced by maternal age
2. Most patients have primary amenorrhoea
3. Most patients have short stature
4. Edema of hands and feet is an important feature during infancy

Correct answer: 1. Occurrence of Turner syndrome is influenced by maternal age

Explanation: Answer is A (Occurrence of Turner's syndrome is influenced by maternal age) : Maternal age constitutes an important influence on the incidence of Down's syndrome. Occurance of Turner's syndrome is not affected by maternal age. Turner's syndrome is the most common cause of primary amenorrhea. At puberty sexual maturation fails to occur and primary amenorrhea is common. Short stature is characteristic of Turner's syndrome. Lymphoedema of the dorsum of hands and feet is also a characteristic finding in patients with Turner's syndrome.